Most common dose limiting adverse effect of colchicine is:
1. Sedation
2. Kidney damage
3. Diarrhea
4. Muscle paralysis

Correct answer: 3. Diarrhea

Explanation: Colchicine is the most effective drug for acute attack of gout. However, it is used for patients not responding to NSAIDs because of its adverse effects. Diarrhea and myopathy are major adverse effects.